Gastrointestinal enteritis necroticans is caused by
1. Clostridium difficale
2. Clostridium perfringens
3. Clostridium botulinum
4. Clostridium Jejuni

Correct answer: 2. Clostridium perfringens

Explanation: Necrotizing enteritis: severe and fatal enteritis. Caused by Clostridium perfringes type C strains produce heat-resistant spores that germinate in intestine producing a beta toxin causing mucosal necrosis. Immunization with type C toxoid has been shown to protect against this condition. Reference: Textbook of Microbiology; Anathanarayan and paniker's; 10th edition; Page no: 260